NADP in extramitochondrial site helps in production of -
1. Glycogen
2. Steriods
3. Ketone bodies
4. None

Correct answer: 2. Steriods

Explanation: Ans. is 'b' i.e., Steroids o NAD+ is used largely in the catabolic redox reactions occurring mitochondrial matrix.o NADP+ (in reduced form NADPH) is largely used in the reductive biosynthesis reaction (cholesterol synthesis, steroids synthesis and lipogenesis) in the extramitochondrial compartments,o NADPH also maintains the reduced glutathione for antioxidant activity.